Most common site of instrumentation perforation in oesophagus is
1. Cervical
2. Esophago gastric junction
3. Intra-abdominal
4. Lower l/3rd

Correct answer: 1. Cervical

Explanation: Ans) a (Cervical) Ref sabiston 18th ed pi 110Endoscopic procedures are the most common cause of iatrogenic esophageal perforation, with the cricopharyngeal area most commonly injured.